Complication of Colle's fracture include all of the following except :
1. Malunion
2. Nonunion
3. Sudeck's osteodystrophy
4. Rupture of EPL tendon

Correct answer: 2. Nonunion

Explanation: Amongst the given options nonunion is very rare complication because colle’s fracture occurs in cancellous area where the healing potential is very high.